Assessment of Malnutrition is/are done by all except?
1. Creatinine-height index
2. Transferrin
3. Total lymphocyte count
4. None

Correct answer: 4. None

Explanation: Ans. is 'None' i.e. all are used